‘Accompanied MDT’ in NLEP implies
1. A patient will be given MDT only in the presence of a MDT provider
2. Any responsible person from family or village can collect MDT, if patient is unable to come
3. MDT should be accompanied with Steroids/ Clofazimine to help fight Reversal reactions
4. MDT prescription should be accompanied by all the precautions to be observed by the patient

Correct answer: 2. Any responsible person from family or village can collect MDT, if patient is unable to come

Explanation: Accompanied MDT: If patient is unable to come to collect his/her MDT from clinic, any responsible person from family or village can collect it

Designed to help patients who have to interrupt their treatment due to any avoidable reason
Especially useful for irregular patients
Gives patients a choice: Patients can collect entire MDT course when diagnosed after proper counseling.